Incest type relation between mother and son is an example of -
1. Oedipus complex
2. Othello syndrome
3. Electra complex
4. OCD

Correct answer: 1. Oedipus complex

Explanation: Ans. is 'a' i.e. Oedipus complex o In psychoanalysis, the Oedipus complex is a child's desire, that the mind keeps in the unconscious via dynamic repression, to have sexual relations with the parent of the opposite sex (i.e. males attracted to their mothers, and females attracted to their fathers)o The Oedipus complex occurs in the third - phallic stage (ages 3-6) of the psychosexual developmento Sigmund Freud coined the term "Oedipus complex".o Boys and girls experience the complex differently: boys in a form of castration anxiety & girls in a form of penis envy (Electra complex).o Othello syndrome or delusional jealousy, is a psychological disorder in which a person is preoccupied with the thought that their spouse or sexual partner is being unfaithful without having any real proof.